Chronic reflux nephropathy causes:
1. Membranous nephropathy
2. Focal segmental GN
3. MPGN
4. Lipoid nephrosis

Correct answer: 2. Focal segmental GN

Explanation: Causes of Secondary FSGS Drugs Viruses Hemodynamic factors - With reduced renal mass Hemodynamic causes - Without reduced renal mass Intravenous heroin Hepatitis B Solitary kidney Massive obesity Analgesics HIV Renal allograft Sickle cell nephropathy Pamidronate Parvovirus Renal dysplasia Lymphomas Lithium Renal Agenesis Anabolic steroids Segmental hypoplasia Vesicoureteric reflux